First cell of RBC development:
1. Proerythroblast
2. Intermediate normoblast
3. Reticulocyte
4. Basophilic erythroblast

Correct answer: 1. Proerythroblast

Explanation: a. Proerythroblast(Ref: Nelson's 20/e p 2304-2308, Ghai 8/e p 330)Stage of RBC development are: Proerythroblast - Basophillic - polychromatic - Orthochromatic erythroblast - Nucleated RBC - Reticulocyte - Mature RBC.